Thalidomide is not used in :
1. HIV related neuropathy
2. Erythema nodosum leprosum
3. HIV related oral ulcer
4. Behcet's disease

Correct answer: 1. HIV related neuropathy